Most common cause of secondary postpartum hemorrhage:-
1. Trauma
2. Atonic uterus
3. Bleeding disorders
4. Retained products of conception

Correct answer: 4. Retained products of conception

Explanation: Most common cause of secondary postpartum hemorrhage is retained tissues Secondary postpartum hemorrhage is bleeding 24 hours to 12 weeks after delivery. Causes of PPH(10 and 20) : Uterine atonicity Injury to any part of genital tract Coagulopathy (von Willebrand's disease) Retained tissues - MCC of 20PPH